The most common fetal response to acute hypoxia is:
1. Tachycardia
2. Tachypnea
3. Bradycardia
4. Ventricular Arrhythmia

Correct answer: 3. Bradycardia

Explanation: The initial response of the normal fetus to acute hypoxia or asphyxia is bradycardia. Ref: Rudolph's Pediatrics By Colin David Rudolph, 21st Edition, Page 71; Fetal and Neonatal Neurology, 4th Edition, Page 493; Oxford Desk Reference: Obstetrics and Gynaecology By Sarabatnam Arulkumaran, Lesley Regan, Aris Papageorghiou, David Farquharson, Ash Monga - Oxford University Press, 01-Aug-2011 - Medical, Page 380; Oxygen Sensing: Responses and Adaptation to Hypoxia By Gregg L. Semenza, Nanduri R. Prabhakar, Sukhamay Lahiri, Gregg L. Semenza, Nanduri R. Prabhakar, Page 209; Fetal and Neonatal Brain Injury: Mechanisms, Management and the Risks of Practice By David Kendal Stevenson, William E. Ben?tz, Page 233